Panchayati Raj includes all, except -
1. Gram Sabha
2. Gram Panchayat
3. Nyaya Sabha
4. Nyaya Panchayat

Correct answer: 3. Nyaya Sabha

Explanation: Ans. is 'c' i.e.. Nyaya Sabha